TRUE about ureter is:
1. Gonadal vessels lie anterior to it
2. It lies in front of great vessels
3. About 50 cm. long
4. Nerve supply from T8-Tio

Correct answer: 1. Gonadal vessels lie anterior to it

Explanation: A. i.e. Gonadal vessels lie anterior to it